Lorenzo oil used in treatment of:
1. Gaucher disease
2. Adrenoleukodystrophy
3. Fabry's disease
4. Hurler disease

Correct answer: 2. Adrenoleukodystrophy

Explanation: Adrenoleukodystrophy- Bone marrow transplant & Lorenzo oil Enzyme replacement therapy for- Gaucher disease- Human recombinant acid b-glucosidase (Imiglucerase) Velaglucerase alfa Taliglucerase alfa Fabry's disease- Agalsidase beta Hurler disease- Aldurazyme